Which of the following causes 'no-reflow' phenomenon in acute myocardial infarction contributing to reperfusion injury?
1. Myocyte hypercontracture:
2. Leucocyte aggregation
3. Free radicals
4. Complement activation

Correct answer: 2. Leucocyte aggregation

Explanation: Factors that contribute to reperfusion injury in myocardial infarction include the following: Mitochondrial dysfunction Myocyte hypercontracture Free radicals Platelet and complement activation Leukocyte aggregation - may occlude the microvasculature and contribute to the "no-reflow" phenomenon.